Most common indication for Liver Transplant in paediatric Patients is
1. Fulminant liver failure
2. Hepatitis
3. Biliary atresia
4. Cirrhosis

Correct answer: 3. Biliary atresia

Explanation: * MC indication for Liver transplant in Children- Biliary atresia * MC indication for Liver transplant in Adults - HCV induced cirrhosis * MC metabolic indication for Liver transplant- Alpha 1 AT deficiency Ref:- Surgery Sixer 3rd Editio; Pg num:- 153